Arsenic is useful in treatment of
1. Acute promyelocytic leukemia
2. Myelodyplastic syndrome
3. Transient myelproliferative disorder
4. All of the above

Correct answer: 1. Acute promyelocytic leukemia

Explanation: Refer Harrison 17th/389 AS2O3 promote the differentition of APL cells and promote apoptosis by upregulating the genes involved in apoptosis. It is used for the treatment of acute promyelocytic leukemia